All of the following are risk factors for malignant change in a gall bladder polyp, except:
1. Age > 60 years
2. Rapid increase in size of polyp
3. Size of polyp > 5 mm
4. Associated Gall stones

Correct answer: 3. Size of polyp > 5 mm

Explanation: Risk factors for malignant change in an asymptomatic patient with a gall bladder polyp are: polyp size greater than 10mm, age >50years, and presence of gallstones. There is greater risk of malignancy in polyps in patients with primary sclerosing cholangitis. Endoscopic ultrasound helps in differentiating cholesterol polyps from malignant polyps. Ref: Sherlock's Diseases of The Liver and Biliary System By James S. Dooley, Page 277; Diseases of The Gallbladder and Bile Ducts: Diagnosis and Treatment By Pierre-Alain Clavien, John Baillie, John Baillie (FRCP (Glasg.)), Page 49